Which condition causes the maximum hearing loss?
1. Ossicular disruption with intact tymnpanic membrane
2. Disruption of melleus and incus as well tympanic membrane
3. Partial fixation of the stapes footplate
4. Otitis media with effusion

Correct answer: 1. Ossicular disruption with intact tymnpanic membrane

Explanation: Average Hearing loss seen in different lesions of conductive apparatus: Complete obstruction of ear canal = 30dB Perforation of tympanic membrane (it varies and is directly proportional to the size of perforation) = 10-40 dB Ossicular interruption with intact drum = 54 Db Closure of oval window = 60 Db